The rod receptor potential differs from other sensory receptors in that it shows
1. Depolarization
2. Increased conductance of calcium
3. Increased conductance of sodium
4. Hyperpolarization

Correct answer: 4. Hyperpolarization

Explanation: Vision is the only sense where activation of receptors leads to hyperpolarization Ref: Ganong 25th ed/page 179